Which of the following forms radiopaque stones:
1. Xanthine.
2. Oxalate.
3. Uric acid.
4. None.

Correct answer: 2. Oxalate.

Explanation: Radiopaque stones: cysteine, oxalate & struvite
Radiolucent stones: xanthine, uric acid.
Allopurinol may lead to xanthine stones.